HLA antigen is located at?
1. Short arm of chr-6
2. Long arm of chr-6
3. Short arm of chr-8
4. Long arm of chr-8

Correct answer: 1. Short arm of chr-6

Explanation: Ans. is 'a' i.e., Short arm of chr-6 o HLA complex (MHC) gene is located on the short arm of chromosome 6.